Reservoir of leptospira -
1. Cat
2. Dog
3. Rat
4. Monkey

Correct answer: 3. Rat